Which of the following is true about malignant hyperthermia
1. Hypernatremia
2. Hypercalcemia
3. Hyperkalemia
4. Hypothermia

Correct answer: 3. Hyperkalemia

Explanation: C i.e. Hyperkalemia